Mizuo phenomenon is seen in
1. Oguchi disease
2. Stargardt disease
3. Gyrate atrophy
4. Retinitis pigmentosa

Correct answer: 1. Oguchi disease

Explanation: Oguchi disease also called as congenital stationary night blindness * Mizuo- nakamura phenomenon: Patient sees better in dark than during day. * Genetic: AR, Mutation in rhodopsin kinase gene * Fundus is normal in dark but loses its sheen in day light * Delayed dark adaptation time * Cause: impaired rods activity (overstimulation of rod cells)